A woman arrived at the emergency with long bone fracture few hours back with complaints of breathlessness, petechial rashes over chest, probable diagnosis:
1. Air embolism
2. Fat embolism
3. Pulmonary embolism
4. Amniotic fluid embolism

Correct answer: 2. Fat embolism

Explanation: Ans. Fat embolism